In iceberg phenomenon, the submerged part represents
1. Undiagnosed cases in community
2. Diagnosed cases in community
3. Clinial cases that physician sees
4. Clinical cases that investigator sees

Correct answer: 1. Undiagnosed cases in community

Explanation: Ans. (a) Undiagnosed cases in communityRef : K. Park 23rd ed. /39, 135; K. Park 21s,ed. /37